Which is not seen in ARDS?
1. Hypoxia
2. Hypercapnia
3. Pulmonary oedema
4. Stiff lung

Correct answer: 2. Hypercapnia

Explanation: ARDS - acute lung injury characterized by coughing and rales; inflammation of the lungs whichbecome stiff and fibrous and cannot exchange oxygen; occurs among persons exposed to irritants such as corrosive chemical vapors or ammonia or chlorine etc.and predisposing factors like pneumonia ,aspiration,severe trauma ,sepsis,drowning etc In ards there is non cardiogenic pulmonary edema. Ref : Ganong's review of medical physiology 24th edition pg 666